Most suitable radioisotope of Iodine for treating hyperthyroidism is –
1. I123
2. I125
3. I131
4. I132

Correct answer: 3. I131

Explanation: I131 is the radioisotope of choice for radiotherapy of thyroid carcinoma and hyperparathyroidism